Heavy pressure application during mask ventilation may compress:
1. Marginal mandibular nerve.
2. Laryngeal nerve.
3. Arytenoid cartilage.
4. All of the above.

Correct answer: 1. Marginal mandibular nerve.

Explanation: Heavy pressure application doing mask ventilation may compress the marginal – mandibular branch of facial N in angle of mandible Region.